Robert's sign is a feature of
1. Le fort fracture grade II
2. Dead born Infant
3. Live Born Infant
4. Orbital fracture

Correct answer: 2. Dead born Infant

Explanation: Robert's sign is appearance of gas shadow in chambers of heart and great vessels. It is seen in dead born infant.